When is an application of heated injected gutta percha potentially beneficial
1. when there is an open apex
2. when there are aberrations or irregularities of the canal
3. when the clinician cannot master lateral condensation
4. when the canals are curved and small after preparation

Correct answer: 2. when there are aberrations or irregularities of the canal